Cryptococcus is least likely to cause infection of -
1. Skin
2. Bone
3. Brain
4. Kidney

Correct answer: 4. Kidney

Explanation: Kidney is not involved in Cryptococcosis Clinical manifestations of Cryptococcosis: - Pulmonary cryptococcosis is the first and the most common presentation - Chronic meningitis - Skin lesions are commonly seen with C.neoformans var. neoformans (serotype D) - Osteolytic bone lesions.